Which of the following amyloid forms is seen in secondary amyloidosis associated with chronic diseases:
1. Amyloid Associated Protein
2. Amyloid light chain
3. Beta 2 Amyloid
4. ATTR

Correct answer: 1. Amyloid Associated Protein

Explanation: Ans. (a) Amyloid Associated Protein(Ref: Harrison 18th/chapter 112)In secondary amyloidosis associated with chronic diseases, there is deposition of SAA or AAAA does not have structural homology to immunoglobulins.Derived by proteolysis from a larger precursor in the serum called SAA (serum amyloid-associated) protein that is synthesized in liver and circulates in association with high density lipoproteins.Production of SAA protein is increased in inflammatory states as part of the "acute phase response," and is often called secondary amyloidosis.